Frontal lobe function
1. Personality
2. Memory
3. Vision
4. Calculation

Correct answer: 1. Personality

Explanation: The frontal lobe plays a large role in voluntary movement. It houses the primary motor cortex. The function of the frontal lobe involves the ability to project future consequences resulting from current actions, the choice between good and bad actions (or better and best) (also known as conscience), the override and suppression of socially unacceptable responses, and the determination of similarities and differences between things or events. Ref: guyton and hall textbook of medical physiology 12 edition page number:841,842,843